A 14 year old boy has difficulty expressing himself in writing and makes frequent spelling mistakes, does not follow instruction and cannot wait for his turn while playing a game. He is likely to be suffering from -
1. Intellectual disability
2. Lack of interest in studies
3. Specific learning disability
4. Examination anxiety

Correct answer: 3. Specific learning disability

Explanation: Information in this question are -


Difficulty in expressing himself in written (problem in written expression)
Makes spelling mistakes (problem in spelling).


Both these are manifestations of dyslexia, a specific learning disability.